Jaw tightness in proximal temporal arteries.diagnosis -
1. PAN
2. Coarctation of aorta
3. Giant cell arteritis
4. Wegner's granulomatosis

Correct answer: 3. Giant cell arteritis